Which of the following speech indicates damage to the categorical hemisphere:
1. Normal speech
2. Increased speech
3. Decreased speech
4. Senseless, fluent speech

Correct answer: 4. Senseless, fluent speech

Explanation: Answer is D (Senseless, fluent speech): Senseless fluent speech most closely suggests a diagnosis of Aphasia (Wernicke's aphasia) which results from damage to the categorical or dominant hemisphere Senseless, fluent speech suggests a diagnosis of 'Wernicke 's ' Aphasia. Such disorders of speech represent a lesion is the categorical or dominant hemisphere